The shift of O2 - Hb dissociation curve to the left is due to
1. Exercise
2. Acidosis
3. Hypothermia
4. Adult hemoglobin

Correct answer: 3. Hypothermia

Explanation: O2Dissociation Curve (Odc)Graphical representation between PO2& percentage saturation of Hb. Normal is S-shaped/sigmoid shapedShift to the Right (Release/tissues) (increased P50 decreased affinity)Shift to the Left (Lungs/binding) (decreased P50 increased affinity)Increased PCO2, Increased temperatureIncreased 2, 3-DPG as in Growth hormone, Exercise, Hypoxia, High altitude, AnemiaAcidosis (decreased pH)Sickle cell anemia & Adult HbDecreased PCO2, Decreased temperatureDecreased 2, 3-DPG as inAlkalosis (increased pH)Fetal Bb, Stored blood(Refer: Ganong's Review of Medical physiology 24th edition,pg no: 642-643)